Example for symptom index
1. OHI Index
2. Plaque Index
3. Bleeding Index
4. DMFT

Correct answer: 3. Bleeding Index